Tinea Mannum affects
1. Face
2. Hands
3. Nails
4. Foot

Correct answer: 2. Hands

Explanation: Tinea Mannum affects the hands. It is the ringworm of hands .Trichophyton rubrum is the most common cause Dermatophytosis: T.cruris - groin T.faciei - face T.barbae- beard T.capitis- scalp T.pedis - soles and web spaces T.mamuum- palms and web spaces T.unguium- finger and toenails T.corporis - glabrous skin except for the above sites T.incognito- modified tinea due to steroid abuse Ref: Harrison 20th edition pg 1245